The primary effect of calcitonin is:
1. Bone deposition
2. Bone resorption
3. Increases intestinal absorption of calcium
4. Decreases intestinal absorption of calcium

Correct answer: 1. Bone deposition